Annular herald’s patch is seen in
1. Psoriasis
2. Pityriasis alba
3. Pityriasis rosea
4. Nocardiasis

Correct answer: 3. Pityriasis rosea

Explanation: Herald’s patches are seen in Pityriasis rosea Some patients develop single patch 2 or 3 days earlier than the main eruption this is called Herald’s patch.
About Pityriasis Rosea Commonly seen in young adults
* Commonly found on upper trunks along cleavage lines
* The lesions are Scaly and erythematous* (cigarette paper scales are found)